Not a premalignant lesion of oral cavity
1. Erythroplakia
2. Syderophonic dysphagia
3. Ranula
4. Submucous fibrosis

Correct answer: 3. Ranula